A patient was on DVT prophylaxis. All of the following has perforators which connect superficial veins to the deep veins except:
1. Ankle
2. Below inguinal ligament
3. Mid calf
4. Lower thigh

Correct answer: 2. Below inguinal ligament

Explanation: B i.e. Below inguinal ligamentWith these option this could be the only possible answer as short saphenous vein is a tributary of popliteal vein which isformed by union of anterior & posterior tibial veins.